A 36-year-old woman is admitted to the hospital with severe head injuries after a car crash. During neurologic examination her uvula is deviated to the right. Which nerve is most likely affected to result in this deviation?
1. Left vagus
2. Right vagus
3. Right hypoglossal
4. Left glossopharyngeal

Correct answer: 1. Left vagus

Explanation: An injury to the left vagus nerve would cause the uvula to become deviated to the right. This is because of the innervation of the musculus uvulae muscle that makes up the core of the uvula. If only one side is effectively innervated, contraction of the active muscle will deviate the uvula to the contralateral side of the injury (ipsilateral side of the uninjured vagus nerve). In addition, the intact levator veli palatini will pull the uvula to the intact side. The right and left hypoglossal nerves innervate the tongue muscles and would not affect the uvula. The glossopharyngeal nerve supplies sensory innervation to the oropharynx and nasopharynx, but not motor innervation to these areas.